C.S.F. is required to be preserved in :
1. Alcoholic poisoning
2. Arsenic poisoning
3. Copper poisoning
4. Organophosphorous poisoning

Correct answer: 1. Alcoholic poisoning

Explanation: A i.e. Alcoholic poisoning